The drug of choice in scleroderma induced hypertensive crisis is -
1. ACE inhibitors
2. Thiazides
3. b - blockers
4. Sodium nitroprusside

Correct answer: 1. ACE inhibitors

Explanation: Ans. is 'a' i.e., ACE inhibitors